Columella effect is seen in -
1. Tympanoplasty
2. Septoplasty
3. Tracheostomy
4. None of the above

Correct answer: 1. Tympanoplasty

Explanation: Columella effect is seen in type III tympanoplasty.

Types of tympanoplasty

Wullstein classified tympanoplasty into five types :-

Type I  : Defect is perforation of tympanic membrane which is repaired with a graft. It is also called myringoplasty.
Type II : Defect is perforation of tympanic membrane with erosion of malleus. Graft is placed on the incus or remnant of malleus.
Type III: Malleus and incus are absent. Graft is placed directly on the stapes head. It is also called myringostapediopexy or columella tympanoplasty.
Type IV: Only the footplate of stapes is present. It is exposed to the external ear, and graft is placed between the oval and round windows. A narrow middle ear (cavum minor) is thus created, to have an air pocket around the round window. A mucosa-lined space extends from the eustachian tube to the round window. Sound waves in this case act directly on the footplate while the round window has been shielded.
Type V: Stapes footplate is fixed but round window is functioning. In such cases, another window is created on horizontal semicircular canal and covered with a graft. Also called fenestration operation.